TRUE about renal arterial system
1. Anastomosis lies between arcuate branches
2. Anastomosis lies at lobar level
3. Branches are end arteries
4. Medulla has more supply than cortex

Correct answer: 3. Branches are end arteries

Explanation: Renal artery(end artery) gives 5 segmental branches 4 from its anterior division 1 from its posterior division Segments are apical, upper, middle & lower in anterior aspect, on posterior aspect segments seen are posterior & parts of apical & lower segments Cortex have more blood supply than medulla As shown above, renal arterial system has no anastomosis.